All of the following occur in mitochondria except:
1. Citric acid cycle (Krebs's cycle)
2. Glycogenolysis
3. Fatty acid oxidation
4. Electron transport chain

Correct answer: 2. Glycogenolysis

Explanation: Ans. B. GlycogenolysisGlycogenolysis occurs in the cytoplasm.Other metabolic reactions in the cytosol - glycolysis, glycogenesis, cholesterol synthesis, HMP shunt, bile acid synthesis